Diagnostic investigation in carcinoma pancreas:-
1. MDCT
2. PET scan
3. ERCP
4. MRCP

Correct answer: 1. MDCT

Explanation: Diagnostic investigation in carcinoma pancreas is MDCT (Multidetector computed tomography) MDCT is investigation of choice for the evaluation of lesions arising in the pancreas IOC for diagnosis, staging and follow-up in CA pancreas: MDCT. EUS is useful if: CT fails to demonstrate a tumour If tissue diagnosis is required (e.g. a mass has developed in a case of chronic pancreatitis- to differentiate between inflammation and neoplasia) If vascular invasion needs to be confirmed In separating cystic tumours from pseudocysts Transduodenal or transgastric FNA or Trucut biopsy performed under EUS guidance avoids spillage of tumour cells into the peritoneal cavity.